Punishment for Rape is under which section of IPC -
1. 375
2. 376
3. 312A
4. 304A

Correct answer: 2. 376

Explanation: Ref: Textbook of forensic medicine and toxicology (V.V.Pillay)17th edition page no.389 The punishment for rape is prescribed in sec.376IPC with two subsection. Subsection 1:for rape described in Sec.375IPC imprisonment for at least seven years and liability to fine,unless victim is his own wife and is not less than twelve years of age, on which case the maximum sentence is two year of imprisonment, or fine or both. Subsection 2:Deal with custodial rape,institutional rape, rape of pregnant women or a women less than twelve year of ageage, or victim of gang rape.minimum duration of penalty is enuanced to ten years. Sec.375IPC is definition of rape Sec.312AIPC is causing his miscarriage Sec.304AIPC is causing death by rash and negligent act